In a normal curve, the area of one standard deviation around the mean includes which of the following percent of values in a distribution-
1. 48.60%
2. 68.30%
3. 95.40%
4. 99.70%

Correct answer: 2. 68.30%